Manoeuvre carried out for diagnosing medial meniscus injury is:
1. McMurray's test
2. Lachmann's test
3. Valgus stress test
4. Varus stress test

Correct answer: 1. McMurray's test

Explanation: Ans. A: McMurray's Test McMurray's test is performed for meniscus injury For medial meniscus: Patient lying flat (non-weight bearing), the knee is completely flexed. The foot is rotated externally and the leg abducted. The joint is now slowly extended keeping the leg externally rotated and abducted. As the torn cartilage gets caught during this manoeuvre, the patient will experience pain or a click may be heard and felt.